The non poisoning salt of cyanide is
1. Potassium cyanide
2. Hydrocyanic acid
3. Sodium cyanide
4. Potassium ferrocyanide

Correct answer: 4. Potassium ferrocyanide

Explanation: Potassium ferrocyanide is non-poisonous salt of cyanide.